Creutzfeldt-Jacob disease is caused by -
1. Prion
2. JC virus
3. Genetic factors
4. Nutritional deficiency

Correct answer: 1. Prion

Explanation: CJD is a prion disease (dlow virus groupB) REF:ANATHANARAYANAN MICROBIOLOGY NINTH EDITION PAGE.557